Somatomedin mediates which of the following process?
1. Deposition of chondroitin sulfate
2. Lipolysis
3. Gluconeogenesis
4. Decreased rate of glucose uptake by cells

Correct answer: 1. Deposition of chondroitin sulfate

Explanation: Somatomedins are polypeptide growth factors secreted by the liver and other tissues. The first of these factors isolated was called sulfation factor because it stimulated the incorporation of sulfate into cartilage. However, it also stimulated collagen formation, and its name was changed to somatomedin. It then became clear that there are a variety of different somatomedins and that they are members of an increasingly large family of growth factors that affect many different tissues and organs. The principal (and in humans probably the only) circulating somatomedins are insulin-like growth factor I (IGF-I, somatomedin C) and IGF-II. Ref: Barrett K.E., Barman S.M., Boitano S., Brooks H.L. (2012). Chapter 18. The Pituitary Gland. In K.E. Barrett, S.M. Barman, S. Boitano, H.L. Brooks (Eds),Ganong's Review of Medical Physiology, 24e.